During the production of X-rays, how much of electron energy is converted into heat
1. 99%
2. 94%
3. 89%
4. 84%

Correct answer: 1. 99%